True of Rheumatic fever is:
1. The characteristic pathological hallmark are Aschoff bodies
2. Erythema marginatum is an itchy rash typically seen on the trunk of the patient
3. Sydenham’s chorea appears early in the course of the acute fever episodes
4. Primary prophylaxis requires periodic use of penicillin

Correct answer: 1. The characteristic pathological hallmark are Aschoff bodies

Explanation: Erythema marginatum is non-itchy. 
Sydenham’s chorea is a late manifestation of Rheumatic fever. 
Use of Penicillin to prevent recurrent sore throat by streptococcus is called Secondary prophylaxis.